Survival of twins after delivery depends upon various factors. What is the commonest cause of perinatal mortality in twins?
1. Preterm
2. Infection
3. Head injury
4. Malnutrition

Correct answer: 1. Preterm

Explanation: Prematurity is the main cause of increased mortality and morbidity in twins. Length of gestation tends to be inversely related to the number of fetuses. The mean age at delivery for singletons is 38.8 weeks, for twins 35.3 weeks, for triplets 32.2 weeks, and for quadruplets 29.9 weeks. The prematurity rate in multiple gestations is 5-10 times that of singletons, with 50% of twins and 90% of triplets born before 37 weeks. Ref: Thilo E.H., Rosenberg A.A. (2012). Chapter 2. The Newborn Infant. In W.W. Hay, Jr., M.J. Levin, R.R. Deterding, J.J. Ross, J.M. Sondheimer (Eds),CURRENT Diagnosis & Treatment: Pediatrics, 21e.